Smallest DNA virus is?
1. Herpes virus
2. Adenovirus
3. Parvovirus
4. Poxvirus

Correct answer: 3. Parvovirus

Explanation: Ans. is 'c' i.e. Parvovirus Smallest virus (also smallest DNA virus) --> Parvovirus. Largest virus (also largest DNA virus) --> Pox virus. . Smallest RNA virus Picornavirus . Largest RNA virus Paramyxoviridae.